All are true about innate immunity except -
1. Non-specific
2. First line of defence
3. Not affected by genetic affected
4. Includes complement

Correct answer: 3. Not affected by genetic affected

Explanation: Innate immunity is the first line of defense against infection. it is non specific. It is the resistance to infections that an individual possess by virtue of his or her genetic and constitutional make up. Reference : Anathanarayan & paniker's 9th edition, pg no:78